The following viruses has been associated with oncogenesis except -
1. Human Papilloma Viruses
2. Epstein Barr virus
3. Human T cell leukemia virus
4. Varicella Zoster virus

Correct answer: 4. Varicella Zoster virus

Explanation: EBV,HPV&HTLV ate associated withoncogenesis REF:MICROBIOLOGY ANANTHA NARAYANAN NINTH EDITION PAGE.565